A 45-year-old coal mine worker presents with cutaneous nodules, joint pain and occasional cough with dyspnea. His chest radiograph shows multiple small (1-4 cm) nodules in bilateral lung fields. Some of the nodules show cavitation and specks of calcification. Most likely these features are diagnostic of -
1. Sjogrens syndrome
2. Caplan's syndrome
3. Silicosis
4. Wegener's granulomatosis

Correct answer: 2. Caplan's syndrome